The parvocellular pathway, from die lateral geniculate nucleus to the visual cortex, carries signals for the detection of
1. Movement, depth and flicker
2. Color vision, shape and fine details
3. Temporal frequency
4. Luminance contrast

Correct answer: 2. Color vision, shape and fine details

Explanation: From the lateral geniculate nucleus, a magnocellular pathway and a parvocellular pathway project to the visual cortex. The parvocellular pathway, from layers 3-6, carries signals for color vision, texture, shape, and fine detail. The parvocellular pathway also carries color opponent data to the deep part of layer 4.Ref: Ganong's Review of Medical Physiology, Twenty-Third Edition